Which of the following committees suggested 3 million plan?
1. Srivastava committee
2. Bhore committee
3. Kartar Singh committee
4. Mudaliar committee

Correct answer: 2. Bhore committee

Explanation: Bhore committee formed in 1946 proposed 3 million plan by setting up primary health units with 75 bedded hospitals for each 10000-20000 population and secondary units with 650 bedded hospitals again regionalised around district hospitals with 2500 beds. Ref: Park 22nd edition pg: 816.